Exclusive breast feeding is upto:
1. 6 weeks
2. 6 months
3. 9 Months
4. 1 year

Correct answer: 2. 6 months

Explanation: Ans. (b) 6 monthsRef: K. Park 23rd ed. / 508, 530-33 Exclusive breast feeding: 0 to 6month and should be continue upto 2years